All the following are true regarding Crohn's disease except?
1. Fistula formation is seen
2. Recurrence common after surgery
3. Inflammation limited to mucosa
4. Skip lesions

Correct answer: 3. Inflammation limited to mucosa

Explanation: In Crohn's disease, the inflammation can be in multiple patches or one large patch,and may involve any area through out the entire digestive tract, often affecting the last part of the small intestine (terminal ileum).